Wide open anterior fontanelle is found in following diseases except –
1. Rickets
2. Cretinism
3. Osteogenesis imperfecta
4. Craniosynostosis

Correct answer: 4. Craniosynostosis